The measure of variability indicating how many standard deviations, an observation is above or below the mean is
1. Z score
2. Standard error (S.E)
3. Standard deviation (S.D)
4. Co-efficient of Variation

Correct answer: 1. Z score

Explanation: A z-score is the number of standard deviations from the mean. The coefficient of variation (CV) is a measure of relative variability. It is the ratio of the standard deviation to the mean. Ref : Park 23rd edition Pgno : 849